All of the following statements about the vagus nerve are true EXCEPT
1. Supplies heart and lung
2. Carries postganglionic parasympathetic fibers
3. Innervates right two third of transverse colon
4. Stimulates peristalsis and relaxes sphincters

Correct answer: 2. Carries postganglionic parasympathetic fibers

Explanation: Cranial nerve 3, 7, 9 and 10 (vagus) carry the preganglionic (and not post-ganglionic) parasympathetic fibers. It supplies the parasympathetic fibers to lungs and heart, and the GI system till the mid-gut. The right 2/3 of the transverse colon belongs to mid-gut and is supplied by the vagus nerve.